Delusion of persecution and formication occur together in
1. LSD
2. Amphetamine
3. Cocaine
4. Canabis

Correct answer: 3. Cocaine

Explanation: C i.e. Cocaine